Amino acid abundant in collagen:
1. Glycine
2. Lysine
3. Leucine
4. Isoleucine

Correct answer: 1. Glycine

Explanation: Ans. A Glycine* Collagen is rich in glycine and proline amino acid.* Glycine is the smallest amino acid, present in every third position of chain, therefore it fits into the spaces where the three chains of helix comes together.* This repeating structure, represented as (Gly-X-Y) n, is an absolute requirement for the formation of the triple helix. While X and Y can be any other amino acid, about 100 of the X positions are proline and about 100 of the Y positions are hydroxyproline. Proline and hydroxyproline confer rigidity on the collagen molecule.